Trachoma is characterized by the presence of
1. Follicles over the cornea
2. Follicles in palpebral conjunctiva
3. Follicles in bulbar conjunctiva
4. Papillae in bulbar conjunctiva

Correct answer: 2. Follicles in palpebral conjunctiva

Explanation: Trachoma - Chronic keratoconjunctivitis Affects the superficial epithelium of conjunctiva and corneaCaused by Chlamydia trachomatis (TRIC) agentA, B, Bart, C - Hyperendemic trachomaD to K - Neonatal and adult inclusion conjunctivitisTrachoma Disease spectrumConjunctivaCorneaSigns Congestion of upper tarsal conjunctivaFollicles over upper tarsal or palpebral conjunctiva, lower fornix, plica semilunaris Arlt's line - linear scar in sulcus Sub tarsalisPapillary hyperplasia Concretions Superficial keratitis Herbert follicles Pannus - infiltration, and vascularization of the cornea Corneal ulcer Herbert pits Corneal opacity SequelaeConcretions Pseudocyst Xerosis SymblepharonTrichiasis Corneal opacity Ectasia Corneal xerosis Corneal pannus Epidemiological criteria Follicles on the upper tarsal conjunctivaLimbal follicles like Herbert pitsConjunctival scarring (Trichiasis, Entropion )Vascular pannus at superior limbus(Refer: AH Khurana, Comprehensive Textbook of Ophthalmology,5thedition, pg no: 62-66)